Anti phospholipid syndrome (APS) is associated with all of the following except:
1. Pancytopenia
2. Recurrent abortions
3. Venous thrombosis
4. Pulmonary hypertension

Correct answer: 1. Pancytopenia

Explanation: Venous thrombosis, recurrent abortions and pulmonary hypertension are all seen in case of antiphospholipid syndrome. Antiphospholipid antibody syndrome leads to thrombocytopenia (in 40-50% cases) and hemolytic anemia in 25% cases but leucopenia is not seen in it. Also in causes of pancytopenia - No where is antiphospholipid syndrome mentioned so, it is the best answer.